Lady presents with infertility and diagnosed with bilateral cornual block on hysterography. What is the next step?
1. IVF
2. Tuboplasty
3. Laparoscopy and hysteroscopy
4. USG

Correct answer: 3. Laparoscopy and hysteroscopy

Explanation: Patient with infertility has presented with bilateral tubal or cornual block. Next step in above case is Laparoscopy and hysteroscopy to confirm diagnosis know the exact location of block cause of block: rule out endometriosis, pelvic TB, PID, tubo-ovarian masses as cause of adhesions plan or conduct any tubal surgery